A Patient came with h/o itchy tense blisters whose roof settled as above. Shows big blisters on forearm which have subsided with the roof sticking to the floor without much damage. Diagnosis is
1. Bullous pemphigoid
2. Pemphigus vulgaris
3. Dermatitis herpetiformis
4. Steven Johnson syndrome

Correct answer: 1. Bullous pemphigoid